A 58-year-old man with no prior cardiac history presents to the emergency department with symptoms of retrosternal chest pain starting at rest and lasting 30 minutes. The pain radiates to the left arm and is associated with diaphoresis and dyspnea.On physical examination, his blood pressure is 150/90 mm Hg, pulse is 100/min, the heart sounds are normal, and the lungs are clear to auscultation. Which of the following is the next most appropriate investigation?
1. CT scan - chest
2. CXR
3. cardiac troponin
4. ECG

Correct answer: 4. ECG

Explanation: This man has acute coronary syndrome (ACS) until proven otherwise. The ECG is the most useful initial investigation since it identifies individuals with ST-segment elevation who maybe candidates for either thrombolysis or primary angioplasty (PCI). The troponins are important in diagnosing myocardial necrosis. The other investigations may be important in looking for alternate causes of chest pain once ST-elevation MI has been ruled out.